Broad based budding seen in
1. Coccidiomycosis
2. Paracoccidiomycosis
3. Blastomycosis
4. Cryptococcosis

Correct answer: 3. Blastomycosis

Explanation: Broad based budding (figure of 8 Appearance) seen in Blastomycosis.